"Poverty line" is defined as energy expenditure of at Least_______ or more required for daily activities per person in rural area.
1. 2100kcal
2. 2200 kcal
3. 2300 kcal
4. 2400 kcal

Correct answer: 4. 2400 kcal

Explanation: Ans. d (2400 kcal) (Ref. Text book of PSM by Park 22nd/651).POVERTY LINE# Poverty line is defined as expenditure required for a daily calorie intake of 2100 per person in urban area and 2400 per person in rural area.# In terms of Rs. it comes to Rs. 228.9 per capita per month in rural area and Rs. 264.1 per capita per month in urban area.